Opsoclonus is a feature of?
1. Carcinoma lung
2. Retinoblastoma
3. Focal seizure with dyscognitive changes
4. Extrapyramidal damage in Wilson disease

Correct answer: 1. Carcinoma lung

Explanation: Opsoclonus - Involuntary jerky movement of eye - Disordered eye movement involuntary chaotic saccades in all direction of gaze Lesion Fastigial nucleus in cerebellum Leading cause of opsoclonus in Adult population is Carcinoma lung / breast Carcinoma In Pediatric- Neuroblastoma